Which of the following is antipseudomonal penicillin -
1. Cephalexin
2. Cloxacillin
3. Piperacillin
4. Dicloxacillin

Correct answer: 3. Piperacillin

Explanation: Ans. is 'c' i.e., Piperacillin Drugs acting against Pseudomonas.o Penicillins - Piperacillin, Carbenicillin, Ticarcillin, Mezlocillin,o Cephalosporins - Ceftazidime, Cefoperazone, Cefepime.o Carbapenems - Imipenem, meropenemo Monobactams - Aztreonam.o Aminoglycosides - Tobramycin, Gentamycin, Amikacin,o Fluroquinolones - Ciprofloxacin, Levofloxacin, Norfloxacin.,o Other - Polymixin B, Colistin.o For most of the infection of pseudomonas, treatment of choice is the combination of an antipseudomonal b-lactam and an aminoglycoside.